Learning by encouraging awareness and self-determination is called the
1. Critical theory
2. Development theory
3. Humanist theory
4. Cognitive theory

Correct answer: 3. Humanist theory